Health Survey & Development Committee is given by
1. Mudaliar
2. Srivasthava
3. Bhore
4. Mukharji

Correct answer: 3. Bhore